Most abundant complement in the body
1. C1
2. C2
3. C3
4. C4

Correct answer: 3. C3

Explanation: C3 is the most abundant complement.